The ureter is lined by....epithelium ?
1. Stratified squamous
2. Cuboidal
3. Cilliated columnar
4. Transitional

Correct answer: 4. Transitional

Explanation: D i.e. Transitional